All are sporicidal except -
1. lysol
2. Glutaraldehyde
3. Ethylene oxide
4. Formaldehyde

Correct answer: 1. lysol

Explanation: ALDEHYDES Formaldehyde is active against the amino group in the protein molecule. In aqueous solutions, it is markedly bactericidal and sporicidal and also has a lethal effect on viruses. it is used to preserve anatomical specimens and for destroying anthrax spores in hair and wool 10% formalin containing 0.5% sodium tetraborate is used to sterilize clean metal instruments. Formaldehyde gas is used for sterilizing instruments and heat sensitive catheters and for fumigating wards sick rooms and laboratories. Under properly controlled conditions, clothing, bedding, furniture, and books can be satisfactorily disinfected. The gas is irritant and toxic when inhaled. surfaces which have been disinfected by this agent may give off an irritant vapor for some time after disinfection. This can be nullified by exposure to ammonia vapor after disinfection has been completed Glutaraldehyde: This has an action similar to that of formaldehyde. It is especially effective against the tubercle bacilli. fungi and viruses. it is less toxic and irritant to the eyes and skin than formaldehyde. it has no deleterious effect on the cement or lenses of instrument s such as cystoscopes and bronchoscopes. It can be safely used to treat corrugated rubber anesthetic tubes and face masks, plastic endotracheal tubes metal instruments and polythene tubing Phenols These are obtained by distillation of coal tar between the temperature of 170 and 270 C. Lister, the father of antiseptic surgery, introduced them in surgery. Since then a wide range of phenolic compounds has been developed as disinfectants. The lethal compounds have been developed as disinfectants. The lethal effect of phenols is due to their capacity of the cell membrane, damaging cell contents and causing lysis. lysis.centrations of phenol proteins .membrane bound oxidases and dehydrogenases are inactivated by concentrate action of phenol that are rapids bactericidal for microbes Phenol : Is a powerful microbicidal substance. This and other phenolic disinfectants derived from coal tar are widely used disinfectants active against a wide range of organisms They are not readily inactivated by the presence of organic matter and are thus good general disinfectants. these are to a human. various proprietary preparations cholorophenols and choloroxyphenols, though less toxic and irritant are less active and more readily inactivated by organic matter. matter.se groups of substances are relatively inactive against Pseudomonas. Various combinations of these are used un the control of pyogenic cocci in surgical and neonatal units in hospitals hospitallsrophene is potentially toxicity care. charge.idine is a relatively nontoxic skin antiseptic most active against Gram-positive organisms and fairly effective against Gram-negative ones. aqones.solutions are used in the treatment of wounds ETHYLENE DIOXIDE: Its action is due to alkylating the amino, caramino, hydroxylation sulphydryl groups in protein molecules. In addition, it reacts with DNA and RNA. It and use as a disinfectant present aa potential toxicity to human beings, including mutagenicity and carcinogenicarcinogenicty.ctive against all types of microorganisms including viruses and spores Ref: Ananthanarayan & panickers textbook of microbiology 8th edition page no 36-37